A 50 year old female presents to the OPD with shortness of breath. On examination she is hypotensive, has soft heart sounds and elevated JVP. Her ECG shows reduction in the amplitude of QRS complexes. Which of the following is the investigation of choice for diagnosing her condition?
1. USG
2. PET
3. 2 - D Echocardiography
4. M - mode Echocardiography

Correct answer: 3. 2 - D Echocardiography

Explanation: Patient in the question is showing features of cardiac tamponade. 2D echo is the investigation of choice in diagnosing tamponade. It shows reduced right ventricular cavity diameter and collapse of right ventricular free wall and right atrium. M - mode echocardiography is used to study valvular functions. Ref: Harrison's Principles of Internal Medicine 18e chapter 239.